Which of the following can be seen in both antemortem and postmortem burns
1. Pugilistic attitude
2. Heat fracture
3. Heat hematoma
4. All of the above

Correct answer: 4. All of the above

Explanation: Option a, b, c are all non specific findings and can seen both in antemortem and postmortem burns.